Which of the following methods of treating eclampsia has the LEAST effect on neonates?
1. Lytic cocktail regime
2. MgSO4 regime
3. Diazepam therapy
4. Phenobarbitone therapy

Correct answer: 2. MgSO4 regime

Explanation: Magnesium sulfate to control convulsions in mother has least effect on the neonate it has effects mainly on the motor omponent of the mopther hence the reflexes like patellar to be checked time to time while giving the i,m injection. Ref; Katzung 12th ed.